For indirect tooth-colored restorations the recommended
gingival-occlusal divergence per wall is in the range of
1. Greater than 2-5 degrees
2. 2-5 degrees
3. Less than 2-5 degrees
4. Less than 5 degrees

Correct answer: 1. Greater than 2-5 degrees